Leprosy affects all the following except :
1. Testes
2. Ovaries
3. Eyes
4. Nerves

Correct answer: 2. Ovaries

Explanation: Complications of M. leprae

Eye : uveitis, cataracts, glaucoma, corneal insensitivity and lagophthalmus.
Testes : orchitis followed by impotence.
Nerve abscesses : mostly seen in BT form, ulnar nerve is most frequently involved.
Extremities : planter ulceration (most frequent complication of leprous neuropathy), footdrop, charcot’s joints.
Nose : epistaxis, saddle-nose deformity or anosmia.